Destroying of lead batteries releases all of the following contaminants except:
1. Arsenic
2. Antimony
3. Lead
4. Mercury

Correct answer: 4. Mercury

Explanation: The battery scrap obtained from the breaking process is a mixture of several substances: metallic lead, lead oxide (PbO), lead sulfate (PbSO4) and other metals such as calcium (Ca), copper (Cu), antimony (Sb), arsenic (As), tin (Sn) and sometimes silver (Ag). In order to isolate the metallic lead from this mixture, two methods may be applied: pyrometallurgical processes, also known as fusion-reduction methods, and hydrometallurgical processes, or electrolytic methods. It is also possible to combine the two and use a hybrid process. Ref :